Open angle glaucoma causes -
1. Sudden loss of vision
2. Difficulty in dark adaptation
3. Amaurosis fugax
4. Uniocular diplopia

Correct answer: 2. Difficulty in dark adaptation

Explanation: ***Sudden painless loss of vision :CRAO,vitreous hemorrhage,Retinal detachment involving macular area,Ischaemic cntral retinal vein occlusion ***sudden painless defective vision:central serous retinopathy,Optic neuritis, Methyl alcohol amblyopia, Non-ischaemic central retinal vein occlusion ***sudden painful loss of vision:Acute congestive glaucoma,acute iridocyclitis,chemical injuries to the eyeball, Mechanical injuries to the eyaball ***Amaurosis fugax(Transient loss of vision):carotid artery disease, papilloedema,Giant cell arteritis,Migraine,Raynauds disease,severe hypertension,Prodromal symptoms of CRAO ***uniocular diplopia:subluxated lens,Double pupil,incipient cataract,keratoconus Ref Ophthalmology AK khurana -6th edition